Which of the following procedures is least successful in
resolving a periodontally related osseous defect
1. Osseous coagulum graft
2. Resection surgery
3. Reattachment procedure
4. Alloplast graft

Correct answer: 3. Reattachment procedure